Which vessel is most likely to get affected in ulcer perforation involving 1st part of duodenum?
1. IVC
2. Gastroduodenal artery
3. Superior mesenteric artery
4. Inferior pancreaticoduodenal artery

Correct answer: 2. Gastroduodenal artery

Explanation: Gastroduodenal artery is most likely to get affected in ulcer perforation of first part of duodenum as it is closely associated with the posterior wall of the duodenum. Ref: Clinical Anatomy by Regions edited by Richard S. Snell - 2007, Page 298